Champagne glass pelvis is seen in -
1. CDH
2. Down's syndrome
3. Cretinism
4. Achondroplasia

Correct answer: 4. Achondroplasia

Explanation: Radiological features of Achondroplasia : Macrocephaly. Frontal bossing J shaped sella Caudal narrowing of interpedicular distance Champagne glass pelvis Trident hand